All of the following are derivatives of connective tissue except
1. Endothelial cells
2. Clara cells
3. Fibroblast
4. Mast cells

Correct answer: 2. Clara cells

Explanation: Clara cells: are present in lining of respiratory bronchioles and seems to secrete a variety of products including clara cells secretory protein (CSCP) and a component of the lung surfactant. They are also responsible for detoxifying harmful substances inhaled into lungs. Clara cells are part of respiratory system which is derived from endoderm, while options (a), (c) and (d) are derived from connective tissue, which is developed from mesoderm.